All of the following hormones accelerate the release of FFA from adipose tissue, EXCEPT:
1. Epinephrine
2. Insulin
3. Norepinephrine
4. Vasopressin

Correct answer: 2. Insulin

Explanation: Principal action of insulin in adipose tissue is to inhibit the activity of hormone-sensitive lipase, reducing the release not only of FFA but also of glycerol. Hormones that accelerate the release of FFA from adipose tissue include, Epinephrine Norepinephrine Glucagon Adrenocorticotropic hormone (ACTH)- and -melanocyte-stimulating hormones (MSH) Thyroid-stimulating hormone (TSH) Growth hormone (GH) Vasopressin For an optimal effect, most of these lipolytic processes require the presence of glucocorticoids and thyroid hormones. These hormones act in a facilitatory or permissive capacity with respect to other lipolytic endocrine factors. Ref: Botham K.M., Mayes P.A. (2011). Chapter 25. Lipid Transport & Storage. In D.A. Bender, K.M. Botham, P.A. Weil, P.J. Kennelly, R.K. Murray, V.W. Rodwell (Eds), Harper's Illustrated Biochemistry, 29e.